Which is not true about Down's syndrome
1. Decreased humerus length.
2. Decreased nuchal fold thickness.
3. Decreased femur length.
4. Duodenal atresia.

Correct answer: 2. Decreased nuchal fold thickness.

Explanation: Ans. is 'b' i.e. decreased nuchal fold thickness Nuchal fold thickness is increased in Down's syndrome (not decreased). Infact this feature is used in suspecting the diagnosis of Down's syndrome prenatally.Nuchal fold thickness is assessed prenatally by ultrasound.Other characteristic feature of Down's SyndromeIt is the commonest chromosomal disorder*Significant hypotonia*.Oblique palpebral fissure*.Clinodactyly *.CHDs (ASD, PDA, A-V communis)*.Brushfield Spots (white spots on Iris)*.Intestinal atresia*.Varying degree of growth and intellectual disability.Flat face.High arched palate.Reduced length of femur and humerus on ultrasound*.